The nitrate which does not undergo first pass metabolism is
1. Isosorbide mononitrate
2. Nitroglycerin
3. Pentaerythratol tetranitrate
4. Isosorbide dinatrate

Correct answer: 1. Isosorbide mononitrate

Explanation: Isosorbide mononitrate, is a medication used for heart related chest pain (angina), heart failure, and esophageal spasms. It can be used both to treat and to prevent heart related chest pain, however is generally less preferred than beta blockers or calcium channel blockers. It is taken by mouth Isosorbide mononitrate is a nitrate-class drug used for the prevention of angina pectoris. Refer kDT 6/e p 525